The unalloyed form of titanium used to form dental implants is in the
1. beta form
2. alpha form
3. gamma form
4. delta form

Correct answer: 2. alpha form